In gingival index score 2 means:
1. Bleeding on slight provocation
2. Spontaneous bleeding
3. Colour change in gingiva
4. No change in gingiva

Correct answer: 1. Bleeding on slight provocation